Insulin causes all of the following except
1. Glycogenesis
2. Glycolysiis
3. Lipogenesis
4. Ketogenesis

Correct answer: 4. Ketogenesis

Explanation: Refer Katzung 11/e p 731 Insulin inhibits the formation of ketone bodies, therefore it's deficiency can result in diabetic ketoacidosis